Most non polar Amino Acid is
1. Leucine
2. Glycine
3. Arginine
4. Lysine

Correct answer: 1. Leucine

Explanation: Non-polar amino acids are very much less polar than polar amino acids.
Among the given options, only leucine is non-polar.